The lingual flange area in molar region in mandibular complete denture is determined by
1. Mylohyoid
2. Hyoglossus
3. Genioglossus
4. Geniohyoid

Correct answer: 1. Mylohyoid